Reverse Cold Chain is used for:-
1. Transportation of vaccines in +2 to +8 degrees Celsius from PHC to sub-centre
2. Transportation of Oral Polio vaccine in -20 to -40 degrees Celsius
3. Transportation of Poliomyelitis stool samples from Field to Laboratory
4. None of the above

Correct answer: 3. Transportation of Poliomyelitis stool samples from Field to Laboratory

Explanation: Cold chain: Is a system of storage and transportation of vaccines from the point of manufacture to the point of administration.(actual vaccination site) Temperature of cold chain : +2 C to +8 C. Reverse cold chain: Is the term used for transportation of stoolsamples from a suspected polio case for diagnosis. (National Polio Elimination Programme) Temperature of Reverse Cold Chain: +2 C to +8 C. Specific 'red vaccine carrier' is used in reverse cold chain. Warm chain: Keeping a preterm, pre-mature newborn against the body to mother to prevent neonatal hypothermia (NNH) -'Kangaroo Mother Care'. NOTE Polio vaccine is the most heat sensitive vaccine